MEN I syndrome is most commonly associated with:
1. Gastrinoma
2. Insulinoma
3. Glucucagonoma
4. Somatistatinoma

Correct answer: 1. Gastrinoma

Explanation: Answer is A (Gastrinoma): Amongst the options provided Gastrinomas are the most common association with MEN-I